Thalidomide can be used in all of the followingconditions except?
1. Behcet syndrome
2. HIV associated peripheral neuropathy
3. HIV associated mouth ulcers
4. Erythema nodosum leprosum

Correct answer: 2. HIV associated peripheral neuropathy

Explanation: HIV associated peripheral neuropathy